Idenfity the false statement about G-protein coupled receptors
1. G-Protein coupled receptors have 7 transmembrane segments and 3 subunits
2. α subunit carries inherent GTPase activity
3. α subunit seperates from β, γ subunit after binding to GDP
4. α(s) stimulates adenylyl cyclase and ↑ cAMP

Correct answer: 3. α subunit seperates from β, γ subunit after binding to GDP

Explanation: α - subunit gets seperated from β, γ subunits after binding to GTP, not GDP.